Frey's syndrome occurs due to abberent misdirection of fibres from salivary glands to sweat glands. These fibres come from which of the following?
1. Facial
2. Trigeminal
3. Vagus
4. Glossopharyngeal

Correct answer: 4. Glossopharyngeal

Explanation: Frey's Syndrome: AKA Baillarger's syndrome, Dupuy's syndrome, auriculotemporal syndrome, or Frey baillarger's syndrome. - (GUSTATORY SWEATING) - Frey's syndrome arises as a complication of parotid surgery usually manifesting several months after the operation.it is characterized by sweating and flushing of the preauricular skin during mastication causing nuisance to the person or social embarrassment. - Auriculotemporal N. branch of the Mandibular N. carries sympathetic fibers that supplies the sweat glands and it also carries the parasympathetic fibers coming from the Glossopharyngeal N. they supply the Parotid gland. - During parotidectomy if the nerve gets injured, there is mixing of the fibers during regeneration and the parasympathetic fibers supplying the parotid gland also starts supplying the sweat glands, so whenever the patient eats food the fibers get stimulated and the patient starts sweating while eating